HLA is located on -
1. Short arm of chr-6
2. Long arm of chr-6
3. Short arm of chr-3
4. Long arm of chr-3

Correct answer: 1. Short arm of chr-6

Explanation: Ans. is 'a' i.e., Short arm of chr- 6 o HLA complex (MHC) gene is located on the short arm of chromosome 6.o The histocompatibility antigens (human leukocyte antigens - HLA) are cell surface antigens that induce an immune response leading to rejection of allografts.o The principal physiologic function of the cell surface histocompatibility molecules is to bind peptide fragments of foreign proteins for presentation to antigen specific T cells.o The histocompatibility antigens are encoded by a closely linked multiallelic cluster of genes - Major histocompatibility complex (MHC) or Human leukocyte antigens complex (HLA complex).o HLA complex of genes is located on the short arm of chromosome 6.